Which one of the following lymphoma is associated with translocation of c-myc gene on chromosome 8?
1. Burkitt's lymphoma
2. Mantle cell lymphoma
3. Follicular lymphoma
4. Anaplastic large cell lymphoma

Correct answer: 1. Burkitt's lymphoma

Explanation: All forms of Burkitt lymphoma are highly associated with translocation of MYC gene on chromosome 8 that lead to increased MYC protein levels. Mantle cell lymphomas have an (11;14) translocation involing the IgH locus on chromosome 14 and the cyclin D1 locus on chromosome 11 that leads to overexpression of cyclin D1. In follicular lymphoma there (14;18)translocation that juxtaposes the IGH locus on chromosome 14 and BCL2 locus on chromosome 18. In Anaplastic large cell lymphoma there is rearrangement of ALK. REFERENCE; ROBBINS AND COTRAN PATHOLOGIC BASIS OF DISEASE.SOUTH ASIA EDITION VOLUME 1.PAGE NO. 591,594,597,602